Pityriasis Rosea, true is:
1. Self-limiting
2. Chronic relapsing
3. Life threatening infection
4. Caused by dermatophytes

Correct answer: 1. Self-limiting

Explanation: Ans. is 'a' i.e. self limiting Pityriasis Rosae is a self limiting papulosquamous disorder:* The etiology is unknown, a virus has often been incriminated.Clinical featuresUsually occurs between the ages of 10-35 yearsThe incidence is lowest in summer.Mildly itchy rash, usually on the trunk.Morphology of the lesionsHerald patchThis is the first lesion to be seen, present in about 80% of the patients with pityriasis Rosae.The lesion is oval or round with central wrinkled salmon coloured area and darker edge. There is a collarette of scales, which are attached just within leading edge and free towards the centre.Secondary lesionsThey begin as scaly papules and enlarge to form annular plaques but secondary lesions are smaller, less scaly and less erythematous than herald patch.Sites of predilectionMainly seen on the trunk.The configuration of the lesion of the pityriasis Rosae is often suggestive of the diagnosis, the longitudinal axis of the patches runs downwards and outwards from the spine, along the lines of the ribs. This appearance has been referred to as the 'fir tree" or "Christmas tree" appearance.Sometimes in (20% patients) lesions occur predominantly on extremities and neck (inverse pattern).